For extra oral maxillary nerve block the target area is
1. Anterior to lateral pterygoid plate
2. Posterior to Lateral pterygoid plate
3. Pterygomandibular fossa
4. Pterygomandibular fissure

Correct answer: 1. Anterior to lateral pterygoid plate